School Health was first recommended by:-
1. Bhore committee
2. Chadah committee
3. Jungalwallah committee
4. Srivastava committee

Correct answer: 1. Bhore committee

Explanation: Bhore committee (1946) : 'Health survey and Development committee' Short term plan : 1 PHC per 40,000 population, 30 beds, 3 subcenters and 2 medical officers Long term plan (3 million plan) : Primary health units with 75- bedded hospitals per 10,000- 20,000 population; secondary health units with 650- bedded hospitals ; Regional health units with 2,500 beds Prepare 'Social Physicians' ( 3 month training in preventive and social medicine in medical education) School health Comprehensive health care concept.